Lateral boundary of cubital fossa is formed by -
1. Biceps
2. Pronater teres
3. Brachialis
4. Brachioradialis

Correct answer: 4. Brachioradialis

Explanation: Ans. is 'd' i.e., Brachioradialis o Lateral boundary of cubital fossa is formed by brachioradialis and medial boundary is formed by pronater teres. Cubital FossaLateral boundryBrachioradialisMedial boundryPronater teresBaseLine joining the two epicondyles of humerusApexPoint joining lateral and medial boundriesFloorBrachialis, supinatorRoofSkin, superficial fascia (containing medial cubital vein, lateral and medial cutaneous nerve of forearm), deep facia, bicipital aponeourosis Contents of cubital fossa (medial to lateral)o Median nerveo Brachial artery termination and begining of radial and ulnar arteries.o Biceps tendono Radial nerve and Radial collateral artery